Inverse agonist of benzodiazepine receptor is :
1. Phenobarbitone
2. Flumazenil
3. Beta carboline
4. Gabapentin

Correct answer: 3. Beta carboline